Precursor of melanin synthesis:
1. Tyrosine
2. Glycine
3. Phenylalanine
4. Lysine

Correct answer: 1. Tyrosine

Explanation: Ans. (a) TyrosineRef: Harper's Biochemistry, 30* ed. pg. 618-20, 26 ed. P 288* Melanin is pigment of skin, hair and eyes, synthesized from tyrosine in the epidermis by the melanocytes.* Function: Protect underlying cells from UV rays of sun.* Defect in melanin production: Albinism* Generalized Albinism aka Oculocutaneous albinism (OCA) is mainly classified into 3 types:# OCA 1: Tyrosinase deficient# OCA 2: Tyrosinase positive- MC type of albinism# OCA 3: Red OCA* Localized albinism: Piebaldism, Waardenburg syndrome* Specialized products from glycine: Creatinine, Heme, Purine nucleotide, Glutathione